Which of the following is an example of physiological antagonism ?
1. Heparin–Protamine
2. Prostacycline–Thromboxane
3. Adrenaline–Phenoxybenzamine
4. Physostigmine–Acetylcholine

Correct answer: 2. Prostacycline–Thromboxane